Which one of the following insecticides is commonly used for ultra-low volume fogging
1. Abate
2. DDT
3. Paris green
4. Malathione

Correct answer: 4. Malathione

Explanation: Most extensively used insecticides are malathion and fenitrothion for ultralow volume fogging. Park's Textbook of Preventive and Social Medicine, 25th Edition, Pg 833